Entrapment neuropathy at the arcase of frohse involves which nerve?
1. Median nerve
2. Posterior interosseous nerve
3. Ulnar nerve
4. Axillary nerve

Correct answer: 2. Posterior interosseous nerve

Explanation: Ans. is 'b' i.e., Posterior interosseous nerve